At higher concentration flouride is bactericidal, because:
1. It's action on bacterial enzymes.
2. It coagulates the bacterial proteins.
3. It destroy the bacterial cell wall
4. All of the above.

Correct answer: 1. It's action on bacterial enzymes.

Explanation: At higher concentrations, fluoride is bactericidal, because of its action on two bacterial enzymes enolase and phosphoglucomutase.